A patient comes with crush injury to upper limb, the doctor is concerned about gangrene and sepsis what can help decide between amputation and limb salvage?
1. MESS
2. Guliton score
3. Gustilo Anderson classification
4. ASIA guidelines

Correct answer: 1. MESS

Explanation: MESS (Mangled Extremity severity score):Estimates viability of an extremity after trauma, to determine the need for salvage vs empiric amputation(Refer: Maheshwari's Essentials of Orthopedics, 5th edition, pg no. 392)